Partogram helps in detecting
1. Abruptio placenta
2. Obstructed labour
3. Incoordinate uterine action
4. PPH

Correct answer: 2. Obstructed labour

Explanation: Obstructed labour